Type–1 lepra reaction is commonly seen in :
1. Histoid leprosy
2. Lepromatous leprosy
3. Borderline tuberculoid leprosy
4. Polyneuritic leprosy

Correct answer: 3. Borderline tuberculoid leprosy